A female presents with 3 cms painless ulcer with raised edges on Labia majra M/c cause is:
1. Syphilis
2. Gonorrhea
3. Herpes
4. Chlamydia

Correct answer: 1. Syphilis

Explanation: Ans. is a, i.e. SyphilisRef: Williams Gynae 3rd/ed, p56"With pregnancy syphilis, the halltnark lesion is the chancre, in which spirochactes are abundant classically, it is an isolated non tender ulcer with raised sounded borders and an uninfected base." - Ref: Williams Gynae 3rd/ed, p56